Physiological interruption of transmission is -
1. Neuropraxia
2. Neurotmesis
3. Axonotmesis
4. None of the above

Correct answer: 1. Neuropraxia

Explanation: Ans. is 'a' i.e., Neuropraxia Seddoms classification of nerve injurieso Seddon identified three types of injuriesNeuropraxiaThere is contusion of the peripheral nerve which causes reversible physiological nerve conduction block. The axis cylinder (i.e., axon with its endoneurium) is preserved. Thus, there is physiological conduction block without anatomic disruption. The injury is temporary and recovery is complete. It is seen in crutchpalsy, tourniquet palsy, and Saturday night palsy.AxonotemesisThere is injury to axon but endoneurium is preserved. Spontaneous recovery is expected in some cases. This is seen in closed fractures and dislocations.NeurotemesisThere is complete anatomical section of nerve. No recovery possible. It is seen in open wound.